The best space maintainer for the early Loss of upper primary incisor is the pin and tube maintainer, because
1. It is aesthetically acceptable
2. It does not injure the upper tip
3. It is easy to fabricate
4. It allows Lateral growth of the bone

Correct answer: 4. It allows Lateral growth of the bone